There has been an outbreak of food born salmonella gastroenteritis in the community and the stool samples have been received in the laboratory. Which is the enrichment medium of choice-
1. Cary Blair medium
2. V R medium
3. Selenite
4. Thioglycolate medium

Correct answer: 3. Selenite

Explanation: Outbreak of food born salmonella gastroenteritis
For the stool culture, 1st it has to be processed in an enrichment medium followed by streaking in a selective media.
Enrichment medium for Salmonella: Tetrathionate broth, Selenite F broth, Gram-negative broth